Hyperbilirubinemia in newborn involving palm & sole-
1. 8mg/dl
2. 10mg/dl
3. 14 mg/dl
4. > 15 mg/dl

Correct answer: 4. > 15 mg/dl

Explanation: Ans. is 'd' i.e.,>15 mg/dl Jaundice is area of bodyBilirubin levelHead & Neck5 mg/dlUpper trunk & proximal upper limb10 mg/dlLower trunk & thigh12 mg/dlLegs15 mg/dlPalm (hands) & sole (feet)> 15 mg/dl